The forward displacement of tibia on the femur is prevented by
1. Anterior cruciate ligament
2. Posterior cruciate ligament
3. Medical collateral ligament
4. Lateral collateral ligament

Correct answer: 1. Anterior cruciate ligament

Explanation: Anterior cruciate ligament prevents posterior displacement of the femur on the tibia and hyperextension of the knee joint. When the joint is flexed at a right angle, the tibia cannot be pulled anteriorly because it is held by the ACL.**watch the wordings carefullyReference: Chaurasia; 6th edition